Most common cause of portal hypertension in children is _______
1. Extrahepatic compression
2. Budd chiari syndrome
3. Veno-Occlusive disease
4. Post necrotic

Correct answer: 1. Extrahepatic compression

Explanation: Causes of portal hypertension pre sinusoidal extrahepatic(mostcommoon):portal vein/splenic vein thrombosis,splenic AV fistula,massive splenomegaly intrahepatic:sarcoidosis,schistosomiasis,congenital hepatic fibrosis,myeloproliferative disorders,nodular degenerative hyperplasia,idiopathic portal fibrosis sinusoidal cirrhosis due to any cause post sinusoidal budd chiari syndrome,right heart failure,constrictive pericarditis,web in inferior venacava Ref : ESSENTIAL PEDIATRICS,O.P.GHAI,PG NO:289,7th edition